What is the incidence rate of breech presentation at term?
1. 1
2. 3
3. 7
4. 10

Correct answer: 2. 3

Explanation: Breech is the commonest malpresentation. Incidence: 1 in 5 at 28th week, 5% at 34th week, 3% at term. Most common cause: prematurity Commonest position : laft sacro anterior Head is born by flexion Flexed breech is more common in multipara and extended breech is more common in primigravida Most common type of breech is extended.